Newer inclusion in 2015 WHO classification of squamous cell carcinoma of lung include(s)
1. Clear cell variant
2. Papillary cell variant
3. Adenocarcinoma variant
4. Nonkeratinizing variant

Correct answer: 4. Nonkeratinizing variant

Explanation: Answer- D, Nonkeratinizing variantOld classification-PapillaryClear cellSmall cellBasaloidNewer Classification-Keratinizing SCCNonkeratinizing SCCBasaloid SCCPreinvasive: SCC in situ